Which of the following is true regarding chickenpox
1. CNS complications are seen
2. Reye's syndrome can occur
3. Prevented by giving immunoglobulins
4. All the above

Correct answer: 4. All the above